Necrosis of cell is due to -
1. Ca+2 efflux in cell
2. Fat depostion in cells
3. Water imbibition in cells
4. Enzymatic digestion

Correct answer: 4. Enzymatic digestion

Explanation: Necrosis: Type of cell death associated with loss of membrane integrity and leakage of cellular contents culminating in the dissolution of cells, largely resulting from the degradative action of enzymes on lethally injured cells. The enzymes responsible for digestion of cells may be derived from the lysosomes of the dying cell themselves and from lysosomes of leucocytes recruited as part of inflammation. The leaked cellular contents often elicit an inflammatory response. Leakage of intracellular proteins through the damaged cell membrane and ultimately into circulation provides a means of detecting tissue-specific necrosis by blood/serum samples. {Reference: Robbins basic pathology9E, pg no.9}